Earliest phenotypic manifestation of Idiopathic hereditary hemochromatosis is-
1. Post prandial increase in serum iron concentration
2. Elevated serum ferritin level
3. Slate grey pigmentation of skin
4. Increased transferrin saturation

Correct answer: 4. Increased transferrin saturation

Explanation: Answer is D (Increased Transferrin Saturation) The Most Common Manifestation of Hemochromatosis is Hepatomegaly. Liver Enzymes may be normal or elevated depending on the extent of hepatocyte damage. A transferrin saturation of more than 45% is the earliest phenotypic abnormality in hereditary hematochromatosis' Transferrin saturation and measurement of unbound iron bindeng capacity are recommended fir initial scrceening of individuals Tests Recommended for screening for Hereditary Hematochromatosis Transferrin Saturation The transfrrin saturation f wore than 45% is the earliest phenotypic abnormality in hereditary hematochromatosis Transferrin saturation is considered the best initial screening test for hereditary hematochromotosis Transferrin saturation has a high sensitivity of >90% in diagnosing hereditary hematochromatosis Transferrin saturation is the ratio of serum iron to total iron binding capacity (SUTIBC) Iron binding capacity (Unbound /Unsaturated) Unbound Iron binding capacity is an alternative screening test. Unbound Iron binding capacity UIBC=TIBC-Serum Iron Unbound iron binding capacity is decreased in hematochromatosis